Diffuse proliferative glomerulonephritis, in lupus nephritis falls under-
1. Class II
2. Class III
3. Class IV
4. Class V

Correct answer: 3. Class IV

Explanation: According to the WHO, six patterns of mutually-merging renal lesions are seen in lupus nephritis: Class I: Minimal lesions. Class II: Mesangial lupus nephritis. Class III: Focal segmental lupus nephritis. Class IV: Diffuse proliferative lupus nephritis Class V: Membranous lupus nephritis Class VI: Sclerosing lupus nephritis. Ref: HARSH MOHAN TEXTBOOK OF PATHOLOGY 6th ed. pg no: 676